Koebner's phenomenon is seen in all of the following conditions, EXCEPT:
1. Lichen planus
2. Ichthyosis
3. Psoriasis
4. Pemphigus

Correct answer: 2. Ichthyosis

Explanation: Koebner's phenomenon refers to development of morphologically identical lesions in the traumatized uninvolved skin of the patients who have cutaneous diseases. It is also known as isomorphic phenomenon. Conditions associated with Koebner's phenomenon are: Warts Molluscum contagiosum Autoimmune (vitiligo) Psoriasis Pemphigus Lichen planus Ref: An Aid to the MRCP: Essential Lists, Facts and Mnemonics By Nicholas Boeckx, page 184.